Vitamin associated with one carbon transfer is:
1. Niacin
2. Thiamine
3. Ascorbic acid
4. Folic acid

Correct answer: 4. Folic acid